Best index of contraceptive efficacy is
1. Pearl index
2. Chandelers index
3. Quetlet index
4. Broca index

Correct answer: 1. Pearl index

Explanation: Pearl index is defined as the number of failures per 100 woman years of exposure (HWY) Failure rate per Hundred Women Years = Total accidental pregnancies X 1200/ Total months of exposure Reference : Park's textbook of preventive and social medicine, 23rd edition, Page no: 510